GET strategy is for which disease
1. Onchocerciasis
2. Cataract
3. Trachoma
4. Vitamin A supplementation

Correct answer: 3. Trachoma

Explanation: GET Strategy is for trachoma GET 2020 * GLOBAL ELIMINATION OF TRACHOMA * SAFE Strategy : TRACHOMA Surgery to correct lid deformities Antibiotics Facial Cleanliness Environmental changes